What is true in case of perforation of pars flaccida -
1. CSOM is a rare cause
2. Associated with cholesteatoma
3. Usually due to trauma
4. All of the above

Correct answer: 2. Associated with cholesteatoma

Explanation: Tympanic membrane can be divided in 2 parts:
Parstensa : It forms most of the tympanic membrane. Its periphery is thickened to form fibro cartilaginous ring called as annulus tympanicus.
Pars Falccida : It is situated above the lateral process of malleus between the notch of Rivinus and the anterior and posterior malleolar fold.
Ref. Dhingra 6/e p59, 5/e p 78